Hypotonia, tremor and ataxia are seen in lesion or -
1. Basal ganglia
2. Medullary pyramid
3. Cerebellum
4. Pons

Correct answer: 3. Cerebellum